A 30 year old female wears contact lens for 2 months continuously. The symptoms she experiences therafter could be due to all except-
1. Giant Papillary conjunctivitis
2. Microbial keratits
3. Increased sensitivity
4. Open angle glaucoma

Correct answer: 4. Open angle glaucoma

Explanation: Ans. is 'd' i.e., Open angle glaucoma * Complications of contact lens wearing are : -1) Intolerance: - Some people find wearing contact lenses intolerable.2) Corneal complications : - Corneal abrasion, Corneal edema, Corneal vascularization, Microbial keratitis (Pseudomonas, acanthamoeba), Sterile corneal infiltrate.3) Giant papillary conjunctivitis4) Hypoxia : - Cornea is deprived of oxygen from the tear film by the presence of the contact lens. The cornea becomes edematous and new vessels may develop in the limbal area.5) Sensitivity: - This may develop in response to the preservative (thiomersal) in the cleaning and soaking solution. This results in allergic conjunctivitis.